Serum bilirubin secretion is used for estimation of:
1. Pancreatic function
2. Liver function
3. Kidney function
4. Splenic function

Correct answer: 2. Liver function

Explanation: Ans: b (Liver function).Ref: Vasudevan 4th ed/p.483-486,488.Liver:-Tests based on excretory function:-a) Serum bilirubinb) Urinary bilirubinc) Bromsulphthalein testd) Indocyanine greenTests based on metabolic capacity of liver:-a) Galactose tolerance testb) Plasma amino acidsc) Antipyrine breath testTests based on synthetic function of liver:-a) Blood albumin levelb) Prothrombin Timec) Alpha feto proteinTests based on serum enzymes:-a) ASTb) ALTc) ALPd) GGTe) 5'-nucleotidasef) Leucine amino peptidase